Signature fracture of skull is seen in
1. Gutter fracture
2. Depressed fracture
3. Ring fracture
4. Sutural seperation

Correct answer: 2. Depressed fracture

Explanation: DEPRESSED SKULL FRACTURE It is a common neurosurgical problem among the head injuries. It means fracture depression is more than the depth of inner table of the skull. Investigations: CT scan. Problems in depressed fracture Tear in the dura beneath Haematoma in the deeper plane Injury to the cerebrum Injury to the venous sinuses--may cause life-threatening haemorrhage. Fracture should not be elevated in such occasion, as it itself can precipitate bleeding Convulsions Meningitis Treatment Antibiotics, anticonvulsants. Elevation of the depressed fracture: Burr holes are made in the adjacent normal skull. Fracture is elevated. Bony fragments and necrotic materials are removed. Dural tear is closed with interrupted sutures. Ref: SRB's Manual of Surgery 5th edition Pgno : 1099